Drugs contraindicated in infections mononucleosis is -
1. Ampicillin
2. Doxycycline
3. Atropine
4. Gentamicin

Correct answer: 1. Ampicillin

Explanation: Ans. is 'a' i.e., Ampicillin o Ampicillin produces a high incidence of rashes, especially in patients with AIDS, EBV infection (IMN), lymphatic leukaemia and concurrent administration of allopurinol.